Feature suggestive of schizophrenia rather than organic psychosis is
1. Third person hallucination
2. Split personality
3. Visual hallucination
4. Altered sensorium

Correct answer: 1. Third person hallucination

Explanation: Auditory hallucinations are by far the most frequent, these can be an elementary auditory hallucination (hearing simple words rather than voices), Thought echo, Third person hallucination, Voice commenting on ones on the action. Only the third person hallucinations are believed to be characteristic of schizophrenia (Ref: a short textbook of psychiatry, Niraj Ahuja, 7th edition, page no.56)